At the physiological pH the DNA molecules are :
1. Positively charged
2. Negatively charged.
3. Neutral.
4. Amphipathic

Correct answer: 2. Negatively charged.

Explanation: B i.e. Negatively ChargedDNA molecules are negatively chargedQ, this is evident as it is stained by a cationic dye (Methylene blue).